Which virus is implicated in Burkits lymphoma?
1. EBV
2. HTLV
3. HPV
4. HHV8

Correct answer: 1. EBV

Explanation: (Refer: Robbins Pathologic Basis of Disease, 8thedition, pg no: 314, 607)
Burkitt’s lymphoma
There are three clinical types:

African (endemic) Burkitt lymphoma.
Sporadic (nonendemic) Burkitt lymphoma.
Aggressive lymphomas associated with HIV.
These 3 types are histologically identical.

Immunophenotype

These are tumors of mature B cells.
It express surface IgM, CD19, CD20, CD10 and BCL6.

Molecular Pathogenesis

All forms of Burkitt lymphoma are associated with translocationsof the c-MYC gene on chromosome 8.
The translocation partner is usually the IgH locus (t(8;14)) butmay also be the Ig k (t(2;8)) or y (t(8;22)) light-chain loci.
All endemic tumors are latently infected with EBV, which is alsopresent in about 25% of HIV-associated tumors and 15% to20% of sporadic cases.